Zinc transporter 8 antibody is seen in?
1. Hashimoto's thyroiditis
2. Hypoparathyroidism
3. Type 1 diabetes mellitus
4. Type A insulin resistance

Correct answer: 3. Type 1 diabetes mellitus

Explanation: Autoimmune markers for newly diagnosed type 1 diabetes mellitus ICA antibody Glutamic Acid Decarboxylase (GAD65) Insulin islet cell antibody Tyrosine phosphatase Zinc transporter 8 antibody